Radio graphically Mental foramen lies between the roots of
1. Canine and first premolar
2. First and second premolars
3. Second premolar and first molar
4. In the incisor region

Correct answer: 2. First and second premolars